All of the following are related to mediastinal surface of left lung except
1. Descendng Aorta
2. Arch of Aorta
3. Thoracic duct
4. Trachea

Correct answer: 4. Trachea

Explanation: Structures related to mediastinal surface of lungRight lungLeft lungRight atrium and auricleLeft ventricle, left auricle, infundibulum and adjoining part of the right ventricleA small part of the right ventriclePulmonary trunkSuperior vena cavaArch of aortaLower part of the right brachiocephalic veinDescending thoracic aortaAzygos veinLeft subclavian arteryOesophagusThoracic ductinferior vena cavaOesophagusTracheaLeft brachiocephalic veinRight vagus nerveLeft vagus nerveRight phrenic nerveLeft phrenic nerveLeft recurrent laryngeal nerveReference: Vishram Singh Anatomy; 2nd edition; Page no: 237